Median nerve injury at the wrist causes-
1. Claw hand
2. Loss of opposition of thumb
3. Policeman's tip deformity
4. Saturday night palsy

Correct answer: 2. Loss of opposition of thumb

Explanation: In median nerve injury at wrist, low median nerve injury is what occurs. That means only the thenar muscles are affected. The features shown in this condition includes- pen test for abductor pollicis brevis paralysis, opposition and abduction of thumb is lost, ape thumb deformity may be shown and loss of sensation of lateral 2/3rd of palm and lateral three and half fingers may be seen.